The  Burrows in scabies is in the –
1. Stratum basale
2. Stratum granulosum
3. Stratum corneum
4. Dennis

Correct answer: 3. Stratum corneum

Explanation: Mite burrows into stratum corneum. These burrow is visible clinically as an irregular gray - brown line.